Which of the following is an inhibitor of dihydrofolate reductase :
1. Phenytoin
2. Alcohol
3. Methotrexate
4. Yeast

Correct answer: 3. Methotrexate